Which of the following is atubular?
1. Transparent dentin
2. Reactive dentin sclerosis
3. Reparative dentin
4. Reactionary dentin

Correct answer: 3. Reparative dentin

Explanation: The secondary odontoblasts subsequently generate reparative tertiary dentin (or “reparative dentin”) as a part of the ongoing host defense. Reparative dentin usually appears as a localized dentin deposit on the wall of the pulp cavity immediately subjacent to the area on the tooth that had received the injury. Reparative dentin is generally atubular and therefore structurally diferent from the primary and secondary dentin.
In the case of mild injury (e.g., a shallow caries lesion), primary odontoblasts initiate increased formation of dentin along the internal aspect of the dentin beneath the affected area through secretion of reactionary tertiary dentin (or “reactionary dentin”). Reactionary dentin is tubular in nature and is continuous with primary and secondary dentin.
Reference: Sturdevant operative dentistry. 7th edition Page no 10